Xerosis/ Xerophthalmia is due to deficiency of:
1. Vitamin K
2. Vitamin E
3. Vitamin D
4. Vitamin A

Correct answer: 4. Vitamin A

Explanation: Ans. D i.e. Vitamin A